Allergic reactions in patients who receive amide-type local anesthetics for dental procedures are most likely caused by reaction of
1. Methylparaben
2. Contaminants
3. Lignocaine hydrochloride
4. Epinephrine

Correct answer: 1. Methylparaben